Osteomyelitis:
1. Never occurs in infants
2. In acute cases fracture mandible is very common
3. Of mandible can show symptoms of lip Paresthesia
4. Produces no tymphadenopathy

Correct answer: 3. Of mandible can show symptoms of lip Paresthesia